In a patient of orbital cellulitis, microorganism on culture show greenish colonies and optochin sensitivity. The most likely organism is:
1. Strep, viridans
2. Staphylococcus
3. Pseudomonas
4. Pneumococcus

Correct answer: 4. Pneumococcus

Explanation: Ans. is 'd' i.e., PneumococcusGram-positive cocci which form a-hemolytic colonies (Greenish colonies) and is optochin sensitive is pneumococcus.The characteristic features of pneumococcus are: (BIO) (Memory Aid)(a) Bile solubility.(b) Optochin sensitivity.(c) Inulin fermentation.(d) Shows quellung reaction (capsular delineation).(e) Forms draughtsman or carrom coin colonies (Colonies with central umbonation).